% of PCOS patients having diabetes mellitus:
1. 50%
2. 30%
3. 20%
4. 10%

Correct answer: 4. 10%

Explanation: Ans. is d, i.e. 10%Ref: Leon Speroff 8th/ed, p5I7PCOS: Upto 35% exhibit impaired glucose tolerance and upto 10% have diabetes mellitus.In all PCOS patients, a baseline 2-hour OGTT is recommended.